Most common site of sub ependymal astrocytoma (giant cell) -
1. Trigone of lateral ventricle
2. Foramen of munro
3. Temporal horn of lateral ventricle
4. 4th ventricle

Correct answer: 2. Foramen of munro